In determining blood pressure by auscultatory method
1. The loudest sound is the diastolic pressure
2. Systolic pressure estimation tends to be lower than those made by palpatory method
3. The first sound heard is the systolic pressure
4. The sounds that are heard are generated in heart

Correct answer: 3. The first sound heard is the systolic pressure